An 85 year old man underwent Transurethral resection of prostate. A histological examination of his speciman showed foci of adenocarcinoma management will be -
1. Endocrine therapy
2. Radical surgery
3. Hormone therapy
4. No further T/t

Correct answer: 4. No further T/t